Fournier's gangrene is seen in:
1. Scrotum
2. Shaft of penis
3. Base of penis
4. Glans penis

Correct answer: 1. Scrotum

Explanation: Ans. A: Scrotum Idiopathic scrotal gangrene/Fournier's gangrene is an uncommon condition of the scrotum. Hemolytic streptococci are associated with other organisms (Staph., E.coli etc.) in a fulminating inflammation of the subcutaneous tissues, which results in obliterative arteritis of the arterioles to the scrotal skin.